According to WHO clinical staging of HIV in children oral hairy leukoplakia belongs to which clinical stages?
1. Clinical stage 1
2. Clinical stage 2
3. Clinical stage 3
4. Clinical stage 4

Correct answer: 3. Clinical stage 3

Explanation: Oral hairy leukoplakia belongs to Clinical stage 3.